Hour glass deformity is seen in
1. Carcinoma stomach
2. Peptic ulcer
3. Duodenal atresia
4. CHPS

Correct answer: 2. Peptic ulcer

Explanation: COMPLICATIONS. Acute and subacute peptic ulcers usually heal without leaving any visible scar. However, healing of chronic, larger and deeper ulcers may result in complications like Obstruction. Development of fibrous scar at or near the pylorus results in pyloric stenosis. In the case of healed duodenal ulcer, it causes duodenal stenosis. Healed ulcers along the lesser curvatures may produce 'hourglass' deformity due to fibrosis and contraction TEXT BOOK OF HARSH MOHAN SIXTH EDITION PAGE.553. IMAGE REF: